Action potential is:
1. Decremental phenomenon
2. Doesn't obey all or none phenomenon
3. K+ goes from ECF to ICF
4. Threshold stimulus is required

Correct answer: 4. Threshold stimulus is required

Explanation: D i.e. Threshold stimulus is required